Antiglaucoma drug used to increase uveoscleral outflow is
1. Acetazolamide
2. Pilocarpine
3. Latanoprost
4. Timolol

Correct answer: 3. Latanoprost

Explanation: (Refer: Parson's, 21stedition, pg no: 154,155)